class III malocclusions can be seen in all except:
1. Cleidocranial dysplasia.
2. Craniofacial dysostosis.
3. Pierre Robin syndrome.
4. Achondroplasia.

Correct answer: 3. Pierre Robin syndrome.